Hypocalcemia is seen in poisoning of:
1. Ammonia
2. Salicylates
3. Carbolic acid
4. Oxalic acid

Correct answer: 4. Oxalic acid

Explanation: Ans. D i.e. Oxalic acid